The most prominent and dose related side effect of salbutamol is :
1. Rise in blood pressure
2. Muscle tremor
3. Hyperglycemia
4. Central nervous system stimulation

Correct answer: 2. Muscle tremor